Mitochondrial DNA linked disease is
1. More common in males
2. Transmitted by females
3. Variable penetrance in families
4. Autosomal inheritance

Correct answer: 2. Transmitted by females

Explanation: (B) Transmitted by females# mtDNA inheritance is that it is transmitted strictly through the maternal line.> Low levels of paternal transmission of mtDNA have been observed in crosses between mouse species, but not within species41, although further studies showed that this paternal mtDNA was not transmitted to the subsequent generation.> Cytochrome c oxidase deficiency (mitochondrial DNA mutations), Kearns-Sayre syndrome (single, large deletion of mitochondrial DNA), Leber hereditary optic neuropathy (Mutations in four mitochondrial genes, MT-ND1, MT-ND4, MT-ND4L, and MT-ND6), Leigh syndrome (most commonly mutated mitochondrial gene in Leigh syndrome, MT-ATP6) are some of the examples for moitochondrial diseases.